Which of the following drug is used for hypotensive anaesthesia:
1. Isoflurane
2. Nitroglycerin
3. Both 1 & 2
4. Dantrolene

Correct answer: 3. Both 1 & 2

Explanation: Hypotensive anesthesia (Controlled Hypotension) Number of the surgeries requires a lesser than normal blood pressure, b/c surgical site is very vascular In these surgeries - decrease the blood pressure of the patient (controlled hypotension) Keep the BP low till the surgery goes on, once the surgery finishes bring BP back to normal. So short acting drugs are need Sodium nitroprusside Nitroglycerine Esmolol Inhalational anesthetic agents Isoflurane Sevoflurane Desflurane (peripheral resistance)